All of the following transport processes follow 'saturation kinetics' except:
1. Facilitated diffusion
2. Na+- Ca2+exchanger
3. Simple diffusion
4. Na+- coupled active transport

Correct answer: 3. Simple diffusion

Explanation: Simple diffusion occurs by virtue of kinetic energy of the particles. Thus, it will never stop, except at absolute zero temperature; neither will it show any saturation kinetics. Saturation kinetics are exhibited by those transports which are mediated by carriers. Carriers have finite number of binding sites, to bind and transport a substance. When all the binding sites are occupied, the carrier is said to be "saturated". Options A, B, and D are carrier mediated transports.